Chronic adrenal insufficiency is characterized by all of the following except-
1. Excess pigmentation
2. Asthenia
3. Weight gain
4. Hypoglycemic episodes

Correct answer: 3. Weight gain

Explanation: In contrast in Adrenal insufficiency weight loss occurs Ref - Davidson's medicine 23e p672 , ( Harrison 17 pg 2263)